Antiretroviral drugs are started for HIV/ AIDS patients if CD4 count is:-
1. < 500
2. < 350
3. < 200
4. Any CD4 count

Correct answer: 4. Any CD4 count

Explanation: ART should be started in all HIV positive patients regardless of WHO clinical stage and at any CD4 cell count. Normal CD4 count 900-1400 Opportunistic infection occurs if CD4 count less than 500.